Which of the following is not the site of paraganglioma?
1. Carotid bifurcation
2. Jugular foramen
3. Promontory of middle ear
4. Geniculate ganglion

Correct answer: 4. Geniculate ganglion

Explanation: Paraganglioma (glomus tumour) arises from the paraganglionic tissue normally present in the adventitia of dome of jugular bulb, glomus body on the promontory of middle ear, at the carotid bifurcation and glomus body along the vagus nerve at the base of skull. They have been called glomus tympanicum, glomus jugulare, carotid body tumour and glomus intravagale, respectively. Most common tumors of facial nerve are neuroma and haemangioma.